The appropriate approach to a neonate presenting with vaginal bleeding on day 4 or life is:
1. Administration of vitamin K
2. Investigation for bleeding disorder
3. No specific therapy
4. Administration of 10 ml/kg of fresh frozen plasma over 4 hours

Correct answer: 3. No specific therapy

Explanation: In the first few weeks of life, a small amount of vaginal bleeding may occur, reflecting the decline of circulating level of maternal estrogens. Ref: Kligman, Behrman, Jenson, Stanton (2008), Chapter 24, "Gynecological Problems of Childhood", In the book, "Nelson's Textbook of Pediatrics", Volume 2, 18th Edition, New Delhi, Page 2273